Increased incidence of reaction to L.A will occur by
1. Rapid rate of injection
2. Using an aspirating technique
3. Addition of vaso constrictor to the solution
4. Premedication with barbiturate

Correct answer: 1. Rapid rate of injection